Telecanthus is aEUR'
1. Narrow medial epicanthus
2. Widely separated medial orbital wall
3. Lateral epicanthal fold thickened
4. Increase in intercanthal distance with normal interpupillary distance

Correct answer: 4. Increase in intercanthal distance with normal interpupillary distance

Explanation: Increase in intercanthal distance with normal interpupillary distance Telecanthus is the congenital condition in which there is increased distance b/w the medial canthi or angles of the eyelids. The interpupillary distance (IPD) remains normal. (If a vertical line is drawn through lacrimal punctum it will cut cornea as shown in fugure.) The normal distance b/w the medial canthi (the intercanthal distance) is equal to the length of each palpebral fissure mm) Hypertelorism - Occular or orbital hypertelorism is a condition of widely separated eyeballs with increased inter pupillary distance & broad nasal bridge. This condition is often associated with cleidocranial or craniofacial dysostosis & sometimes with mental deficiency. Normal interocular distance D. lacrimal True ocular punctum lar hypertelorism cuts cornea. with secondary telecanthus - vertical line through & IPD is increased Primary telecanthus - inner canthi are far apart, although the outer canthi are normally spaced (interpupillary distance is normal). Note vertical line through lacrimal punctum cuts cornea. True ocular hypertelorism - Both inner & outer canthi are abnormally far apart Conditions/syndromes associated with telecanthus Prader - Willi syndrome Pena - Shokeir syndrome BBB syndrome Dystopia cantharum Hypertelorism with esophageal abnormality and hypospadias. Opitz syndrome Epicanthus - It is a semilunar fold of skin which covers the medial canthus. It is the most common congenital anomaly of the lids & is a normal facial feature in the Mongolian race.